Guanethidine is used in the treatment of which of the following condition?
1. Thyrotoxic ophthalmopathy
2. Ptosis
3. Bell's palsy
4. Horner's syndrome

Correct answer: 1. Thyrotoxic ophthalmopathy

Explanation: Guanethidine (10%) eye drops is useful in decreasing lid retraction in Thyrotoxic ophthalmopathy. It is an adrenergic neuron blocker which acts by inhibiting the release of noradrenaline in response to nerve stimulation.